NDPS act does not include -
1. Poppy
2. Paracetamol
3. Cannabis
4. Coca

Correct answer: 2. Paracetamol

Explanation: The Narcotic Drugs and Psychoactive Substances Act 1985 (NDPS) This Act repeals and renders obsolete three Acts namely - 1. The Opium Act 1857 2. The Opium Act 1878 3. The Dangerous Drugs Act 1930 * According to this Act, a narcotic drug refers to the cocoa leaf, cannabis (hemp), opium, poppy straw and includes all manufactured drugs. A manufactured drug means all the cocoa derivatives, medicinal cannabis, opium derivatives and poppy straw concentrate and any other narcotic substance preparation, which the Central Government may by notification, declare to be manufactured drug. * The Act defines psychotropic substance as any substance, natural or synthetic, included in the list of psychotropic substances specified in a Schedule to the Act. The Schedule lists 77 psychotropic substances. * Under section 27 of the Act, if a person possess in a small quantity, any narcotic drug or psychotropic substance intended for personal use and not for sale or distribution, or consumes any narcotic or psychotropic substance, he shall be punished with imprisonment for a term, which may extend to one year or with fine or with both. The small quantity as quoted in the definition means: 1. 5 gm of hashish 2. 250 mg of heroin, smack and brown sugar 3. 5 gm of opium 4. 125 mg of cocaine 5. 500 gm of ganja * NDPS Act prohibits the cultivation of poppy, cannabis and coca plants, however restricted cultivation is allowed for medicinal or scientific purpose. * The minimum punishment for any offense committed under the Act is 10 years rigorous imprisonment and fine of Rs. 1 lakh while maximum punishment is 20 years rigorous imprisonment and fine of Rs. 2 lakh. REF:THE SYNOPSIS OF FORENSIC MEDICINE AND TOXICOLOGY:K S NARAYANA REDDY;PAGE NO 277